Which is a spinal poison:
1. Strychnine
2. Organophosphorus
3. Oleander
4. Cannabis

Correct answer: 1. Strychnine

Explanation: Strychnine